Bagassosis is most likely caused due to the inhalation of the dust of ?
1. Free silica
2. Coal
3. Sugar cane
4. Cotton fibre

Correct answer: 3. Sugar cane

Explanation: Ans. is 'c' i.e., Sugarcane Pneumoconiosis Pneumoconiosis is an occupational lung disease caused by the inhalation of dust. The development of pneumoconiosis depends on - The amount of dust retained in the lungs and airways. The size, shape of the particles- The most dangerous particle ranges from 1 to 5 m in diameter because they may reach the terminal small airway and air sacs and settle in their linings. Particle solubility and physiochemical reactivity. Additional effects of other irritants (e.g. concomitant smoking). Anthracosis Coal dust Silicosis Silica Siderosis Iron Byssinosis Cotton dust Farmer's lung Hay or grain dust Sequousis Moldy red wood saw dust Suberosis Moldy cork dust Detergent worker's lung Enzyme additives Baggassosis Sugarcane dust